Which prostaglandin is used in NSAID induced ulcer?
1. Misoprostol
2. Carboprost
3. Mirtazapine
4. Miprinone

Correct answer: 1. Misoprostol

Explanation: Ans. is 'a' i.e., Misoprostal orT Misoprostol (PGE1 analogue) is used for prevention and treatment of NSAID induced ulcer, but DOC is PPI.